Which of the following is false about portal vein?
1. Formed behind the neck of pancreas
2. Bile duct lies anterior & right to it
3. Gastro duodenal artery lies to the left & anterior to it
4. Ascends behind the 2nd part of duodenum

Correct answer: 4. Ascends behind the 2nd part of duodenum

Explanation: Portal vein ascends behind the first part of the duodenum.
Other options are correct.